Corneal dystrophies are usually –
1. Primarily unilateral
2. Primarily bilateral
3. Primarily unilateral without systemic disease
4. Primarily bilateral with systemic disease

Correct answer: 2. Primarily bilateral

Explanation: "A corneal dystrophy is classically bilateral, progressive, and isolated to the cornea. The disorder is inherited, characteristically in a dominant fashion, and often appears clinically to involve only one layer of the cornea "...Yanoff